All are true regarding paroxysmal nocturnal haemoglobinuria, except-
1. Haemosiderinuria
2. Pancytopenia
3. Increased alkaline phosphatase
4. Cellular marrow

Correct answer: 3. Increased alkaline phosphatase